In malignant hypertension hyperplastic arteriosclerosis is seen in all except:
1. Heart
2. Kidney
3. Pericardial Fat
4. Peripancreatic fat

Correct answer: 1. Heart

Explanation: . Heart